Most common couse of trichiasis is-
1. Stye
2. Trachoma
3. Blephritis
4. Congenital

Correct answer: 2. Trachoma

Explanation: Other causes are ulcerative blepharitis, healed membranous conjuctivitis ,stye , burns. Ref : Ak khurana 6th edition Ref img